Reactive arthritis is usually caused by:
1. Shigella flexneri
2. Shigella boydii
3. Shigella shiga
4. Shigella dysenteriae

Correct answer: 1. Shigella flexneri

Explanation: Organisms that have been associated with Reiter Arthritis include the following: C trachomatis (L2b serotype) Ureaplasma urealyticum Neisseria gonorrhoeae Shigella flexneri Salmonella enterica serovars Typhimurium Mycoplasma pneumoniae Mycobacterium tuberculosis Yersinia enterocolitica and pseudotuberculosis Campylobacter jejuni Clostridium difficile Beta-hemolytic (example, group A) and viridans streptococci